What is attached to the superior nuchal line?
1. Trapezius
2. Scalenus anticus
3. Coracobrachialis
4. Biceps Brachii

Correct answer: 1. Trapezius

Explanation: Ans. is 'a' i.e., Trapezius Muscles attached to superior nuchal line* Occipitalis muscle,* The splenius capitis muscle* Trapezius muscle,* Sternocleidomastoid muscle